Which structure is present in the anatomical snuff box?
1. Ulnar artery
2. Radial artery
3. Median nerve
4. Radial nerve

Correct answer: 2. Radial artery

Explanation: Ans. B Radial arteryRef: BDC, 6th ed. vol. I pg. 122; Gray's 41st ed. pg. 790* The anatomical snuffbox is formed by the tendons of extensor polloicis longus and brevis, and abductor pollicis longus.* It has the radial artery running in the floor of the snuffbox, and the radial nerve passing to the dorsum of the hand.* Boundaries of snuff box:# Postero-medial border is the tendon of the extensor pollicis longus.# Antero-lateral border is a pair of parallel and intimate tendons of the extensor pollicis brevis and the abductor pollicis longus.# The proximal border is formed by the styloid process of the radius.# The distal border is formed by the approximate apex of the schematic snuffbox isosceles.